A 48-years-old female suffering from severe menorrhagia (DUB) underwent hysterectomy. She wishes to take hormone replacement therapy. Physical examination and breast are normal but X-ray shows osteoporosis. The treatment of choice is:
1. Progesterone
2. Estrogen and progesterone
3. Estrogen
4. None

Correct answer: 3. Estrogen